Common toxin through vegetables:
1. Boric acid
2. Carbolic acid
3. Tartaric acid
4. Oxalic acid

Correct answer: 4. Oxalic acid

Explanation: Ans. Oxalic acid